Massive transfusion in healthy adult male can cause hemorrhage due to:
1. Increased tPA
2. Dilutional thrombocytopenia
3. Vitamin K deficiency
4. Decreased fibrinogen

Correct answer: 2. Dilutional thrombocytopenia

Explanation: Ans. B: Dilutional thrombocytopenia Massive blood transfusion causes dilutional coagulopathies especially dilutional thrombocytopenia (stored blood has no platelets and concentration of other clotting factors is also very less)